Anti-TNF alpha drugs are used for the treatment of all of following diseases except
1. Systemic lupus erythematosis
2. Seronegative arthritis
3. Psoriatic arthritis
4. Crohn's disease

Correct answer: 1. Systemic lupus erythematosis

Explanation: Ans. (A) Systemic lupus erythematosus(Ref: Harrison 17/e p2039; KDT 8/e p943)There is already under-expression of TNF-a in SLE, therefore we cannot use anti-TNF drugs for this condition. It is further strengthened by the fact that anti-TNF alpha drugs like infliximab cause SLE as the adverse effect.Indications for TNF-a inhibitorsRheumatoid arthritisJuvenile arthritisPsoriatic arthritisPsoriasisAnkylosing spondylitisCrohn's disease